Which of the following group of drugs follows zero order kinetics with high dose
1. Phenytoin and Propranolol
2. Amiloride and probenacid
3. Alcohol and theophylline
4. Digoxin and propranolol

Correct answer: 3. Alcohol and theophylline

Explanation: drugs which follow zero order kinetics- methanol, ethanol mixed order - 1st order at a low dose and zero order at high dose- aspirin, phenytoin, tolbutamide, digoxin, warfarin, theophylline most of the drugs usually follow 1st order kinetics and they are considered safe drugs Ref: KD Tripathi 8th ed